As per IPHS norms, the proposed number of Female health worker at Sub-center:
1. 1
2. 2
3. 3
4. None

Correct answer: 2. 2

Explanation: Subcentre norms (IPHS) Manpower Existing Proposed Health worker (female) 1 2 Health worker (male) 1 1 Voluntary worker 1 (Optional) 1 (Optional) Total 2/3 3/4